Saltatory conductions occurs
1. Conduction in presynaptic to post synaptic neuron
2. Muscles of the T-tubule system
3. In. Myelinated axons, the jumping of depolarization from node to node
4. A axon can conduct impulse in both direction

Correct answer: 3. In. Myelinated axons, the jumping of depolarization from node to node

Explanation: i.e. (Myelinated axon, the jumping of depolarization node to node): (87-Ganong 23rd)* In myelinated axons, depolarization jumps from one node of Ranvier to the next-Saltatory conduction.* Orthodromic conduction means conduction in one direction only one neuron called the presynaptic neuron to another neuron called the post synaptic neuron* An axon can conduct impulse in one direction only, Orthodromic and opposite direction - Antidromic conduction* Synaptic conduction is mostly orthodromic because chemical mediator is localized only in the presynaptic terminal**